Which of the following health committee recommended a medical and health education commission for reform in health and medical education on the times of University Grants Commission?
1. Shrivastav Committee
2. Mukerji Committee
3. Chadah Committee
4. Kartar Singh Committee

Correct answer: 1. Shrivastav Committee